Ligamentum teres is:
1. Remnant of ductus arteriosus
2. Remnant of umbilical vein
3. Remnant if ductus venosus
4. Remnant of umbilical artery

Correct answer: 2. Remnant of umbilical vein

Explanation: After birth, the left umbilical vein are obliterated and forms the ligamentum teres hepatisLigamentum teresIt is the obliterated fibrous remnant of the left umbilical vein of the fetus.It originates at the umbilicus.It passes superiorly in the free margin of the falciform ligament.From the inferior margin of the liver, it may join the left branch of the portal vein or it may be in continuity with the ligamentum venosumOther fetal remnantsUmbilical arteries forms medial umbilical ligamentDuctus venosus forms ligamnetum venosusmDuctus arteriosus forms ligamnetum arteriosum